All the statements given below are true about nerve supply of larynx except
1. External laryngeal nerve tenses Vocal cord
2. Superior laryngeal nerve takes part in Galen's anastomosis
3. Internal laryngeal branch gives sensory supply to larynx below vocal cords
4. Recurrent laryngeal branch gives sensory supply to larynx below vocal cord

Correct answer: 3. Internal laryngeal branch gives sensory supply to larynx below vocal cords

Explanation: -Internal laryngeal branch gives sensory supply to larynx above the level of vocal cords -The superior laryngeal nerve ends by piercing theinferior constrictor of the pharynx and unites with anascending branch of the recurrent laryngeal nerve. Thisbranch is called Galen's anastomosis and is purely sensory